A person who has drunk the anti-freeze of his car is likely to have -
1. Metabolic alkalosis with normal anion gap
2. Metabolic acidosis with increased anion gap
3. Metabolic alkalosis
4. Respiratory alkalosis

Correct answer: 2. Metabolic acidosis with increased anion gap